de Quervain's disease classically affects the:
1. Flexor pollicis longus and brevis
2. Extensor carpi radialis and extensor pollicis longus
3. Abductor pollicis longus and brevis
4. Extensor pollicis brevis and abductor pollicis longus

Correct answer: 4. Extensor pollicis brevis and abductor pollicis longus

Explanation: de QUERVAIN'S DISEASE The abductor pollicis longus and extensor pollicis brevis tendons may become inflamed Pathognomic sign is Finkelstein's test The examiner places patients' thumb across the palm in full flexion, and then holding the patient's hand firmly, turns the wrist sharply into adduction In positive test this is acutely painful Repeating the movement with the thumb left free is relatively painless.